Decreases contributory factor in chronic hypertension is associated with
1. Aldosterone
2. Angiotensin II
3. Nitric oxide
4. Reduced sympathetic nerve

Correct answer: 3. Nitric oxide

Explanation: [Cl (Nitric oxide) (598- Ganong 22th) (560- 562- K.S.4th) (336-A.K. Jain 3rd) (564- Ganong 23rd)* Excess of secretion of aldosterone from adrenal cortex leads to hypertension* Tumours of the Juxtaglomerular cells leading to formation of excess of angiotension II- leads to Renal hypertension* Nitric oxide (No) is an endothelium derived relaxing factor. It is synthesized from arginine. It is a vasodilator deficiency of this leads to hypertension* Nitric oxide is necessary for maintenance of normal blood pressure (NO- deficiency is associated with hypertension)